Salivary protein which prevents transmission of human immunodeficiency virus via saliva is:
1. Sialoperoxidase
2. Secretory IgA
3. Salivary leukocyte proteinase inhibitor
4. Histidine rich proteins

Correct answer: 3. Salivary leukocyte proteinase inhibitor

Explanation: Salivary protein which prevents transmission of human immunodeﬁciency virus via  saliva is salivary leukocyte proteinase inhibitor.